Critical path takes -
1. Maximum time
2. Minimum time
3. Intermediate time
4. None

Correct answer: 1. Maximum time

Explanation: - Critical path method : the longest path of the network - if any activity along the critical path is delayed, the whole project will be delayed. Reference : Park's textbook of preventive and social medicine, 23rd edition, pg no:872